Nitroglycerine can be administered by all of the following routes except
1. Oral
2. Sublingual
3. Intramuscular
4. Intravenous

Correct answer: 3. Intramuscular

Explanation: NTG is a nitrate acting by releasing NO and causing vasodilation of vessels. useful in treatment of angina. Can be given by oral, sublingual,IV not by i.m route. Ref: KD Tripathi 8th ed.